A woman at 32 weeks of pregnancy, presents with labour pains. On examination, her cervix is 2 cm dilated and one uterine contraction is felt every 20 - 30 seconds. The management is :-
1. Isoxsuprine hydrochloride
2. Wait and watch
3. Augmentation of labour
4. Emergency LSCS

Correct answer: 1. Isoxsuprine hydrochloride

Explanation: The patient here is in early preterm labour Isoxsuprine hydrochlorine is a b agonist which acts as a tocolytic by reducing intracellular ionized calcium levels and prevent activation of myometrial contractile proteins. Tocolytics can be used to cause delay in delivery for up to 48 hours , allowing transport mother with fetus in utero to a center with higher level of neonatal care and permit time for corticosteroid to act Tocolytic agents Beta agonists: Ritodrine, Isoxsuprine Calcium channel blockers: Nifedipine Calcium antagonists: MgSO4 Oxytocin antagonist: atosiban Progesterone NO (nitrous oxide) donor: NTG patck